Intermenstrual bleeding (metrorrhagia) arises typically when the fibroid tumour is
1. Submucous
2. Subserous
3. Interstitial
4. Broad ligament myoma

Correct answer: 1. Submucous

Explanation: (A) Submucous > Bleeding from any part of the genital tract neoplasm, often malignant, can never be overemphasized.> Among the causes of metrorrhagia are carcinoma of the cervix and uterine body, submucous fibroids, uterine polypi, mucous polypi of the cervix, vascular erosions and, rarely, growths of the vagina and vulva.